Xenophobia is
1. Fear of injection
2. Fear of touch
3. Fear of strangers
4. Fear of animals

Correct answer: 3. Fear of strangers

Explanation: fear of injection- needle phobia Fear of touch- hapnophobia Fear of strangers- xenophobia Fear of animals- zoophobia Ref: FORENSIC MEDICINE AND TOXICOLOGY Dr PC IGNATIUS THIRD EDITION PAGE 361